Maximum oxygen saturation is there in which of the following blood vessels in a fetus?
1. Ascending aorta
2. Descending aorta
3. Inferior vena cava
4. Ductus venosus

Correct answer: 4. Ductus venosus

Explanation: Oxygen saturation of different blood vessels in fetus: Umbilical vein > Ductus venosus > Inferior vena cava > Ascending aorta > Descending Aorta > Umbilical arteries